A women has had 2 previous anencephalic babies, risk of having a third one is:
1. 0%
2. 10%
3. 25%
4. 50%

Correct answer: 2. 10%

Explanation: The risk of recurrence of anencephaly:
If one child is affected 5%
If two children are affected 13%